'Tube cast' is applied for which of the following fractures?
1. Shoulder
2. Hip
3. Pelvis
4. Knee

Correct answer: 4. Knee

Explanation: Cylinder castor tube cast is used in the treatment of stable injuries of the distal femur, proximal tibia, and knee joint. It is worn for about 6-8 weeks. This cast often used for injuries around the knee, where rotation does not need to be controlled and the foot is to be left free. Ref: Essential orthopedics by Maheshwari 3rd Edition, Page 14, 126; A Complete Hospital Manual of Instruments and Procedures By Kapur, 2006, Page 628; Rockwood and Greens fractures in adults, 2009, Page 154.